Nothern blot is used for the separation of
1. mRNA
2. DNA
3. Protein
4. Protein DNA interaction

Correct answer: 1. mRNA

Explanation: Used to demonstrate specific RNA The total RNA is isolated from the cell, electrophoresed and then blotted on to a membrane This is. then probed with radioactive cDNAThere is RNA -DNA hybridization Used to detect gene expression in tissuesRef: DM Vasudevan, 7th edition, page no: 634